Lallu a 22 yrs. old male suffers from decreased sleep, increased sexual activity, excitement and spending excessive money for last 8 days. The diagnosis is :
1. Confusion
2. Mania
3. Hyperactivity
4. Loss of memory

Correct answer: 2. Mania

Explanation: Ans. is 'b' Mania The Symptomatic profile of the patient suggests the diagnosis of Mania Characterictic Feature Of Mania -Elation Of Mood*Delusion of Grandeur*Increased psychomotor activity* (usually goal oriented)Speech and thought -More talkativePressure of speech, use playful languageFlight of ideas*Reduced sleepOver activity and poor Judgement, the person is involved in high risk activities like buying sprees, reckless driving, foolish business investments, distributing money or articles to unknown persons.